'Tennis elbow' is characterized by
1. Tenderness over the medial epicondyle
2. Tendinitis of common extensor origin
3. Tendonitis of common flexer origin
4. Painful flexion and extension

Correct answer: 2. Tendinitis of common extensor origin

Explanation: .tennis elbow(lateral epicondylitis) characterised by pain and tenderness at the lateral epicondyle of the humerus due to non-specific inflammation of the origin of extensor muscle of the forearm. clinical features-tenderness ,precisely localized to the lateral epicondyle of the humerus.pain is aggravated by putting the extensor tendons to a stretch (Ref: Essential orthopaedics, Maheshwari and Mhaskar,5th edition,pg no. 302)